A 29 year old female presented with infertility. There is history of abdominal pain, dyspareunia, dysmenorrhea, menorrhagia. Most likely cause:
1. Adenomyomatosis
2. Endometriosis
3. Myomas
4. Cervicitis

Correct answer: 2. Endometriosis

Explanation: Symptoms of Endometriosis Dysmenorrhoea Abdominal pain Dyspareunia Infertility Menorrhagia Chronic pelvic pain